All the following indicates early gastric cancer except:
1. Involvement of mucosa
2. Involvement of mucosa and submucosa
3. Involvement of mucosa, submucosa and muscularis
4. Involvement of mucosa, submucosa and adjacent lymph nodes

Correct answer: 3. Involvement of mucosa, submucosa and muscularis

Explanation: Early Gastric Cancer: Adenocarcinoma limited to the mucosa and submucosa of the stomach, regardless of LN status Approx. 10% of patients will have LN metastasis Cancer of the lesser curve is more common than cancer of the greater curvature Treatment: Treatment options: Endoscopic mucosal resection, limited surgical resection or gastrectomy Overall curative rate with adequate gastric resection and lymphadenectomy is 95% Best prognosis Ref: Sabiston 20th edition Pgno: 1222